Dose of lignocaine for spinal anesthesia is `)/0 of:
1. 5
2. 25
3. 50
4. 75

Correct answer: 1. 5

Explanation: 5%